Maple syrup urine is due to defective decarboxylation of
1. Branched chain amino acids
2. Sulfur containing amino acids
3. Hydroxyl amino acids
4. Unbranched chain amino acids

Correct answer: 1. Branched chain amino acids